Smoking causes all except
1. Preterm birth
2. Pre eclampsia
3. Abruptio placenta
4. Intra uterine fetal demise

Correct answer: 2. Pre eclampsia

Explanation: Risk of smoking in pregnancy includes:

Placental abruption
Premature rupture of membrane
Sudden infant death.